Most common nodule found in the liver is -
1. Hepatoma
2. Hamartoma
3. Hemangioma
4. Cholangioadenoma

Correct answer: 3. Hemangioma

Explanation: Hemangioma is the most common benign tumor of the liver.